Which of the following causes urine discoloration?
1. Isoniazid
2. Rifampin
3. Streptomycin
4. Ethambutol

Correct answer: 2. Rifampin

Explanation: Ans. is 'b' i.e., Rifampin